Osteoblasts appear basic gram staining due to:
1. Increased ribonucleic acid
2. Acidic ground substance
3. Increased mitochondria
4. Presence of basic ground substance

Correct answer: 1. Increased ribonucleic acid